Which of the following is MOST commonly associated with green discharge?
1. Duct papilloma
2. Duct ectasia
3. Retention cyst
4. Fibroadenoma

Correct answer: 2. Duct ectasia

Explanation: A black or green discharge is usually due to duct ectasia and its complications. Ref: Bailey & Love 25/e, Page 831